Protein separation based on moleular size -
1. HPLC
2. Gel filtration chromatography
3. Salting out
4. Affinity chromatography

Correct answer: 2. Gel filtration chromatography

Explanation: Ans. is 'b' i.e., Gel filtration chromatographyProperty of protein usedMethodProtein solubility'Salting out' or salt extraction (precipitation of protein by ammonium sulfate)Molecular sizeo Gel filtration chromatography (molecular-sieve chromatography or size exclusion chromatography)o Ultracentrifugationo SDS-PAGE (Sodium dodecyl sulphate-polyacrylamide gel electrophoresis)o DialysisMolecular charge (Ionic charge)o Ion exchange chromatographyo High performance liquid chromatography (HPLC)o Electrophoresis (simple on cellulose acetate starch gel)o Isoelectric focusing (a variant of electrophoresis)Molecular charge and molecular weightPAGE : polyacrylamide gel electrophoresisAffinity bindingAffinity chromatographyHydrophobicityHydrophobic interaction chromatography